Conduit in gastric pull up is based on:
1. Right gastric and right gastroepiploic artery
2. Right gastric and left gastroepiploic artery
3. Left gastric and right gastroepiploic artery
4. Left gastric and left gastroepiploic artery

Correct answer: 1. Right gastric and right gastroepiploic artery

Explanation: Ans. (a) Right gastric and right gastroepiploic arteryRef: Shackelford 7th Edition, Pages 518-520* Best conduit for esophagus after esophagectomy is stomach* This is based on the greater curvature part of stomach: So carefully preserve the Right gastro epiploic artery and Right gastric artery shown below.